Which brainstem-derived descending tract produces action similar to the lateral corticospinal tract?
1. Vestibulospinal
2. Reticulospinal
3. Spinocerebellar
4. Rubrospinal

Correct answer: 4. Rubrospinal

Explanation: Descending motor pathways are organized into two major groups:Lateral pathways control both proximal and distal muscles and are responsible for most voluntary movements of arms and legs. They include thelateral corticospinal tract & rubrospinal tractMedial pathways control axial muscles and are responsible for posture, balance, and coarse control of axial and proximal muscles. They include thevestibulospinal tracts, reticulospinal tracts, and anterior corticospinal tractThe corticorubrospinal pathway serves as an accessory route for transmission of relatively discrete signals from the motor cortex to the spinal cord. When the corticospinal fibers are destroyed but the corticorubrospinal pathway is intact, discrete movements can still occur, except that the movements for fine control of the fingers and hands are considerably impaired. Wrist movements are still functional, which is not the case when the corticorubrospinal pathway is also blocked.Therefore, the pathway through the red nucleus to the spinal cord is associated with the corticospinal system. Therefore, the corticospinal and rubrospinal tracts together are called the lateral motor system of the cord.Ref: Guyton; 13th edition; Chapter 56 Cortical and Brain Stem Control of Motor Function